Most important site for gastrin producing cells-
1. Body of stomach
2. Funds
3. Pylorus/Antrum
4. All of the above

Correct answer: 3. Pylorus/Antrum

Explanation: Ans. is 'c' i.e., Pylorus/Antrum * Gastrin is a polypeptide produced by G cells of gastric mucosa in the antrum of the stomach and the TG cells that are present throughout the stomach and small intestine. Gastrin secreting cells are also present in pituitary gland, brain and nerves, and the fetal pancreatic islets. GastrinCholecystokininSecretinSecreted by1. G cells in antral and duodenal mucosa1. Mucosa of upper intestine1. S cells in ileal mucosal2. TG cells in stomach and ileum2. Brain and nervesglands.3. Pancreatic islets in fetus 4. Pituitary 5. Brain and nerves Stimulated by1. Peptides and amino acids in stomach and duodenum1. Peptides and amino acids in small intestine1. Peptides and amino acids in small intestine2. Distension of stomach2. Fatty acids (> 10 C in duodenum)2. Acid in small intestine3. Vagal neurotransmitter GRP 4. Epinephrine Inhibited by1. Acid in duodenum 2. Secretin, GIP, VIP, CCK, somatostatin 3. Glucagon 4. Calcitonin Mode of action1. Group-IIC hormone1. Group-IIC hormone1. Group-IIA hormoneEffects on exocrine secretions1. Gastric acid (+)1. Pancreatic enzymes (+)1. Pancreatic HC03 (+)2. Pepsin (+)2. Enterokinase (+)2. Hepatic bile (+)3. Gastric acid (~)Effects on endocrine secretions1. Insulin (+)1. Insulin (+)1. Glucagon (-)2. Glucagon (+)2. Glucagon (+)2. Potentiates CCK 3. Potentiates secretin Effects on GI motility1. Gastric motility (+)1. Pyloric sphincter tone (+)1. Pyloric sphinter tone (+)2. Gastric emptying (-)3. Gall bladder contraction (+)4. Small intestine, colon motility (+)5. Relaxes LESOther effects1. Trophic effect on the mucosa of stomach, ileum, and colon1. Trophic effect on pancreas 2. Satiety